Co-60 units:
1. g radiation
2. b radiation
3. a, and b radiation
4. a, b and g radiation

Correct answer: 1. g radiation

Explanation: Ans. g radiation